Ethosuximide is used in treatment of ?
1. Tonic cloinc seizure
2. Absence seizure
3. Myoclonic seizure
4. Simple partial seizure

Correct answer: 2. Absence seizure

Explanation: Ans. is 'b' i.e., Absence seizure